All are true about intermittent claudication except
1. Most common in calf muscle
2. Pain is positional
3. Atherosclerosis is important predisposing factor
4. relieved by rest

Correct answer: 2. Pain is positional

Explanation: Intermittent claudication: Crampy pain in the muscles seen in limbs. Due to arterial occlusion, metabolites like lactic acid and substance P accumulate in the muscle and cause pain. Site of pain depends on site of arterial occlusion. Most common site is calf muscles. Pain in foot is due to block in lower tibial and plantar vessels. Pain in calf is due to block in femoropopliteal segment. Pain in thigh is due to block in superficial femoral artery. Pain in buttock is due to block in common iliac artery. Pain commonly develops when muscles are exercising and relieved on rest. Beta blockers may aggravate claudication. {Reference: SRB's manual of surgery, 5th edition , page no. 170}